Which is the most common cause of liver abscess in adults?
1. Streptococcus pyogenes
2. Staph. aureus
3. E. coli
4. Proteus

Correct answer: 3. E. coli

Explanation: E.coli is the most common cause of liver abscess in adults. Polymicrobial involvement is common in pyogenic liver abscess with Escherichia coli and Klebsiella pneumoniae being the two most frequently isolated pathogens.